All of the following are adverse effects of thalidomide except :
1. Myocarditis
2. Constipation
3. Peripheral neuropathy
4. Sedation

Correct answer: 1. Myocarditis

Explanation: Thalidomide was banned because of teratogenic effects (phocomelia). Now it has come again in the market for use as an anticancer drug in multiple myeloma and melanoma.
Lenalidomide is its more potent and non-teratogenic derivative.
Thalidomide most commonly causes sedation and constipation in cancer patients. It can also cause peripheral sensory neuropathy.
Two enantiomers of thalidomide (R and S) are present but these are interconvertible in the body, therefore racemic mixture is used.